As compared to UV light, visible light can cure
1. Greater depth of resin
2. Lesser depth of resin
3. Only superficial layer
4. None of the above

Correct answer: 1. Greater depth of resin